Natural killer cell is:
1. MHC restricted
2. Antibody dependent
3. Null cells
4. B-lymphocytes

Correct answer: 3. Null cells

Explanation: Ans. c. Null cells